Normal corneal endothelial count in a young adult is
1. 500/mm2
2. 2500/mm2
3. 4500/mm2
4. 6500/mm2

Correct answer: 2. 2500/mm2

Explanation: Ans. (b) 2500/mm2Ref Parson's 21/e, p. 120* The cell density of endothelium is around 2800cells/mm2(2400-3000cells/mm2) in young adults, which decreases with the advancing age.